Hanifin & Rajke is the diagnostic criteria for
1. Atopic dermatitis
2. Contact dermatitis
3. Urticaria
4. Erythroderma

Correct answer: 1. Atopic dermatitis

Explanation: Ans. is 'a' i.e., Atopic dermatitis Hanifin and Rajka criteria is for diagnosis of atopic dermatitis. Diagnostic criteria (Hanifin and Rajka) Based mainly on clinical experience Major criteria Family history of atopy Chronicity Pruritus Typical morphology and distribution Minor criteria Dry skin Chelitis Elevated edge Dennie's line/dennie morgan fold (infra orbital fold) White dermographism Peripheral eosinophillia Immediate (type i) hypersensivity Facial pallor, orbital darkening Food intolerance Conjunctivitis (recurrent), keratoconus, cataract Pityriasis alba Hand dermatitis Recurrent infections At least 3 major or 2 major plus 2 minor criteria are necessary for diagnosis